Which of the following gene defect is associated with development of medullary carcinoma of thyroid?
1. RET Proto Oncogene
2. Fap gene
3. Rb gene
4. BRCA 1 gene

Correct answer: 1. RET Proto Oncogene

Explanation: Activating point mutation in the RET proto oncogene plays important role in development of both familial and sporadiac medullary carcinoma of thyroid. The tumour tissue is firm,pale grey to tan and infiltrative. On microscopy,stroma shows acellular amyloid deposits which are derived from calcitonin polypeptides. Ref: Robbins and cotrans 9e pg 1099